Conductive hearing loss is seen in all of the following except:
1. Otosclerosis
2. Otitis media with effusion
3. Endolymphatic hydrops
4. Suppurative otitis media

Correct answer: 3. Endolymphatic hydrops

Explanation: Endolymphatic hydrops i.e menieres disease leads to SNHL and not conductive hearing loss.